Nikolsky's sign is positive in:
1. Pemphigus.
2. Familial benign chronic pemphigus.
3. Epidermolysis bullosa.
4. All of the above.

Correct answer: 4. All of the above.